Cozen's test is used for the diagnosis of ?
1. Tennis elbow
2. Golfer's elbow
3. Base baller's pitcher elbow
4. Carpal tunnel syndrome

Correct answer: 1. Tennis elbow

Explanation: Ans. is 'a' i.e., Tennis elbow Signs and Tests Adson's test : for thoracic outlet syndrome Allen's test : for testing patency of radial and ulnar arteries Alli's test : for CDH Anvil test : for testing tenderness of the spine Ape thumb : for median nerve injury Apley's grinding test :for meniscus injury Apprehension test : for recurrent dislocation of the shoulder Barlow's test : for CDH Blue sclera : Osteogenesis imperfecta Bryant's test : for anterior dislocation of the shoulder Callways' test : for anterior dislocation of the shoulder Chovstek's sign : for tetany Claw hand : for ulnar nerve injury Coin test : for dorso lumbar tuberculosis of spine Cozen's test : for tennis elbow Drawer test : for ACL and PCL injutries Anterior : for ACL injury Posterior : for ACL injury Finkelstein's test : for de Quervain's tenovaginitis Foot drop : for common peroneal nerve injury Froment's sign : for ulnar nerve injury Gaenslen's test: for SI joint involvement Galleazzi sign : for CDH Gower's sign : for musular dystrophy Hamilton ruler test : for anterior dislocation of the shoulder Kanavel's sign : for infection in ulnar bursa Lasegue's test: for disc prolapse Lachmann test : for ACL injury Ludloffs sign: for avulsion of lesser trochanter McMurray's test : for meniscus injury Nagffziger test : for disc prolapse Ober's test : for tight ilio- tibial band (e.g., in polio) O' Donoghue triad: traid of MCL, ACL & medial meniscus injuries occurring together Ortolani's test : for CDH Pivot shift test : for ACL injury Policeman tip : for Erb's palsy Runner's knee : Patellar tendinitis Sulcus sign: for inferior dislocation of the shoulder Thomas' test : for hip flexion deformity Trendelenburg's test: for unstable hip due to any reaseon (e.g., CDH) Tinel's sign: for detecting improving nerve injury Volkmann's sign : for ischaemic contracture of forearm muscles Wrist drop : for radial nerve injury